Which of the following maliganat diseases of children has the best prognosis ?
1. Wilm's tumour
2. Neuroblastoma
3. Khabdomyosarcoma
4. Primitive neuroectodermal tumour

Correct answer: 1. Wilm's tumour